Round pneumonia is seen with
1. Streptococcal pneumonia
2. Kerosene oil aspiration
3. Lung cancer
4. Mendelson syndrome

Correct answer: 1. Streptococcal pneumonia

Explanation: Ans. is 'a' i.e., Streptococcal pneumonia Grainger & Allison's Diagnostic Radiology Essentials (Elsevier Health Sciences) 2013/38; ('MDT 2014 270] Streptococcus Pneumoniae (pneumococcus) is the most common organism responsible for round pneumonia. Round Pneumonia is a spherical pneumonia that is usually seen in children due to the lack of collateral air drift. Streptococcus Pneumoniae (pneumococcus) is the most common organism responsible for round pneumonia. Round pneumonias are important as they may simulate a tumor mass from which they must be differentiated